An 8 yrs old boy presents to casualty with history of diarrhoea, followed by decreased urine output. Blood examination shows thrombocytes 90,000/cm3. Diagnosis is
1. Hemolytic Uremic Syndrome
2. Disseminated Intravascular Coagulation
3. Hemophilia
4. Idiopathic Thrombocytopenic Purpura

Correct answer: 1. Hemolytic Uremic Syndrome

Explanation: Answer is A (HUS): The child in question presents with thrombocytopenia and evidence of renal .failure following a diarrheal disease.